Which of the following statements best describes 'Background Radiation'
1. Radiation in the background of nuclear reactors
2. Radiation in the background during radiological investigations
3. Radiation present constantly from natural sources
4. Radiation from nuclear fall out

Correct answer: 3. Radiation present constantly from natural sources

Explanation: C i.e. Radiation present constantly from natural sources Back ground radiation is a low level, wide spread (ubiquitous), constantly present radiation from natural sources that is usually not detrimental to lifeQ.